Genomic imprinting is seen in-
1. Prader willi syndrome
2. Marfan syndrome
3. EDS
4. Osteogenesis imperfecta

Correct answer: 1. Prader willi syndrome

Explanation: Ans. is 'a' i.e., Prader willi syndrome